False about female pelvis:
1. Narrow' pelvic plane lies at the level of ischial spines
2. Plane of greatest pelvis dimension corresponds to SI & S2 vertebrae
3. Angle of inclination is 55deg
4. Plane of least pelvic dimension form plane of obstetrical outlet

Correct answer: 2. Plane of greatest pelvis dimension corresponds to SI & S2 vertebrae

Explanation: Ans: B (Plane...) FEMALE PELVIS"For descriptive purpose, true pelvis is divided into inlet, cavity & outlet It is shallow in front, formed by symphysis pubis & measures 4 cm & deep posteriorly, formed by sacrum & coccyx & measures 11.5 cm"- Dutta's Obstetrics 6th/ 88"Pelvic cavity: The cavity is curved in such a way that it is first directed downwards & backwards, & then downwards & the forwards (J-shaped). It has unequal walls, measuring only about 5 cm anteriorly & 15 cm posteriorly" BDC4th/Vol. II-343"In the erect posture, the pelvis is tilted forward. As such, the plane of the inlet makes an angle of about 550 with the horizontal & is called angle of inclination"- Dutta's Obstetrics 6th/88"Plane of greatest pelvis dimension: The plane extends from the midpoint of posterior surface of symphysis pubis to the junction of the second & third sacral vertebrae"- Dutta's Obstetrics 6th/ 90"Obstetrical outlet: It is the segment of the pelvis bounded above by the plane of least pelvic dimensions & below by the anatomical outlet"- Dutta's Obstetrics 6th/ 91Plane of least pelvis dimension or narrow pelvic plane: The plane extend from the lower border of the symphysis pubis to the tip of ischial spines & posteriorly to meet the tip of fifth sacral vertebrae. It is irregularly oval & notched on each side by the ischial spine Dutta's Obstetrics 6th/ 91